Which of the following is not a sporicidal agent?
1. Lysol
2. Formalin
3. Glutaraldehyde
4. Ethylene oxide

Correct answer: 1. Lysol

Explanation: Lysol and alcohol (ethyl and isopropyl alcohol) are used as disinfectants while formalin and glutaraldehyde act as sterilants. Ref : Ananthanarayana textbook of Microbiology 9th edition Pgno : 33